Sinus of Morgagni is present in
1. Oropharynx
2. Nasopharynx
3. Hypopharynx
4. Laryngopharynx

Correct answer: 2. Nasopharynx

Explanation: It is a space between the base of the skull and upper free border of superior constrictor muscle. Through it enters the 1. Eustachian tube 2. Levator veli palatine 3. Tensor Veli palatine 4. Ascending palatine artery (facial artery). (Ref: Diseases of ENT, PL Dhingra, 7th edition, pg no. 271)